Latent period of muscle twitch is 10 s, contraction period is 40 s and the relaxation time is 50 s. Tetanising frequency would be:
1. 25 Hz
2. 50 Hz
3. 75 Hz
4. 100 Hz

Correct answer: 1. 25 Hz

Explanation: For tetanus to occur, stimulus must fall repeatedly in the contraction phase that will cause the accumulation of Ca++ in myoplasm leading to sustained contraction. Tetanising frequency = 1 / time of contraction phase = 1/40 = 25 Hz